Satellite lesion in a cornial ulcer with feathery margin and fixed hypopyon is a feature of:
1. Trachoma
2. Fungal
3. Angular
4. Herpes

Correct answer: 2. Fungal

Explanation: There are specific corneal features are seen in fungal corneal ulceration. In terms of corneal infiltration the classic and specific findings are feathery and elevated margins, leathery texture, dry appearance, grey-brown pigmentation, satellite lesions, fixed hypopyon (not moving with change in head position) and endothelial plaque. The most common pathogen that invades a preexisting defect is Candida which is a filamentous fungus. Aspergillus, which is a filamentous fungus, is the principal cause of post-traumatic infection. Ref: Concise Textbook of Ophthalmology By Sharma, 2006, Page 99 ; Khurana, 4th ed, Page 100